Concomitant use of valproic acid and lamotrigine increases the risk of :
1. Chondrodysplasia punctata
2. Paroxysmal Nocturnal hemoglobinuria
3. Stevens-Johnson syndrome
4. Floppy infant syndrome

Correct answer: 3. Stevens-Johnson syndrome

Explanation: Stevens-Johnson syndrome Concomitant use of valproic acid and lamotrigine increases the plasma level of lamotrigine and increases the risk of Stevens-Johnson syndrome; hence, lamotrigine should be started as a low dose with gradual escalation.